After injury hair bulbs are seen crushed under microscopy. Probable type of wound;
1. Abrasion
2. Laceration
3. Stab injury
4. None

Correct answer: 2. Laceration

Explanation: The above features are suggestive of Laceration. Laceration - Features - Irregular margins Floor - Vessels/ Hair bulb - Crushed Tissue bridges Swallow tails - Small split from edge of laceration seen